Most suitable catheter material for long-term use is
1. Latex
2. Silicone
3. Polyurethane
4. Rubber

Correct answer: 2. Silicone

Explanation: The Foleys Silicone Catheter is a sterile 100% silicone catheter for long-term use (up to 3 months).